Clopidogrel inhibit platelet aggregation by :
1. Inhibit Gp IIb/IIIa
2. Inhibits phosphodiesterase
3. Inhibits ADP
4. Inhibits cyclooxygenase

Correct answer: 3. Inhibits ADP